Oedipus complex is seen in
1. Girls of 1-3 years of age
2. Boys of 1-3 years of age
3. Girls of 3-5 years of age
4. Boys of 3-5 years of age

Correct answer: 4. Boys of 3-5 years of age

Explanation: Sigmund freud gave Psychosexual stages of development. It includes Oral (upto 18 months), Anal (1 to 3 years), Phallic (3 to 5 years), Latency (5-6 to 11 -13 years) & Genital (11-13 to young adulthood) phases. Oedipus complex is seen in Phallic phase. The analogous thing in girls is Electra complex. Ref: Synopsis of Psychiatry, 11e, pg 158, 160.